All are true about Nuchal Translucency scan except?
1. Done between 11-13 weeks and 6 days
2. Done in neutral position in Mid saggital Plane
3. Values obtained when CRL between 45-84mm
4. Decreased in cases of Aneuploidy

Correct answer: 4. Decreased in cases of Aneuploidy

Explanation: *Nuchal translucency (NT) is the sonographic appearance of a collection of fluid under the skin behind the fetal neck in the first-trimester of pregnancy. *In fetuses with chromosomal abnormalities, cardiac defects and many genetic syndromes the NT thickness is increased. *Screening by NT can detect about 80% of fetuses with Trisomy 21 and other major aneuploides *The gestational period must be 11 to 13 weeks and six days. *The Fetal crown-rump length should be between 45 and 84mm. *The magnification of the image should be such that the fetal head and thorax occupy the whole screen. *A mid-sagittal view of the face should be obtained Normal Abnormal